A 6 year old child has a DQ of 50. Which of the following can the child do?
1. Identifies 5 colors
2. Speaks short sentences
3. Ride a bicycle
4. Copy a triangle

Correct answer: 2. Speaks short sentences

Explanation: At 3 years, a child can name 2 colors. At 5 years, a child can name 5 colors. DQ = Developmental age x 100/actual age 6 year old child has a DQ of 50; so his developmental age is 3 years. So he can do milestones corresponding to 3 years only. Gross Development delay=It occurs when DQ is less than 70% in >= 2 domains of development. Speaks short sentences- at 2 years (child can speak 2 word sentences at 2 years and 3 word sentences at 3 years) Ride a tricycle- at 3 yrs Copy a triangle- at 5 years Since option 2 is the only milestone the child has reached the answer is 2. THERE IS NO MILESTONE LIKE RIDING A BICYCLE